In which of the following conditions postmortem lividity is unlikely to develop?
1. Drowning in well
2. Postmortem submersion
3. Drowning in a fast flowing river
4. Drowning in chlorinated swimming pool.

Correct answer: 3. Drowning in a fast flowing river

Explanation: If the body is lying in moving water, due to constant movement of the body postmortem lividity may not develop. Ref: The Essentials of Forensic Medicine and Toxicology By Dr K S Narayan Reddy, 27th Edition, Pages 137-9